The following is not a Cushing triad:
1. Increased blood pressure
2. Irregular breathing
3. Decreased heart rate
4. Hallucination

Correct answer: 4. Hallucination

Explanation: Cushing reflex is produced due to increased intracranial pressure It produces 3 features called Cushing triad It includes Increased blood pressure Irregular breathing Bradycardia Ref: Guyton and Hall textbook of medical physiology 12th edition,page number:255